Intensity of radiation at a distance of 4 cm is R. At the distance of 2 cm, the intensity will be?
1. 1/2 R
2. R
3. 2 R
4. 4 R

Correct answer: 4. 4 R

Explanation: The intensity of an X-ray beam (the number of photons per cross sectional area per unit of exposure time) depends on the distance of the measuring device from the focal spot. For a given beam, the intensity is inversely proportional to the square of the distance from the source.
White and Pharoah's Oral Radiology Principles and Interpretation 8th edition